Which of the following muscle does not have the dual nerve supply?
1. Flexor Policis Brevis
2. Abductor Policis Brevis
3. Flexor digitorum profundus
4. Pectoralis major

Correct answer: 2. Abductor Policis Brevis

Explanation: Muscles with dual blood supply:Flexor Policies Brevis: superficial head by median and deep by UlnarFlexor digitorum profundus: Lateral half by Median and Medial Half by UlnarPectoralis major by Medial and Lateral Pectoral Nerve